Nephrotic syndrome is characterized by:
1. Proteinuria
2. Oedema
3. Serum albumin <30 gm/L
4. All of the above

Correct answer: 4. All of the above